Effect of ultraviolet radiation on DNA is formation of
1. Purine dimers
2. Pyrimidine dimers
3. DNA-DNA cros linking
4. All of the above

Correct answer: 2. Pyrimidine dimers

Explanation: UV light causes the formation of thymine dimers, where covalent bonds are formed between adjacent thymine residuesSince repair mechanism is not operating these mutations are accumulated, leading to cancerRef: DM Vasudevan, 7th edition, page no: 584